Conjugated hyperbilirubinemia is seen in:
1. Gilbert' syndrome
2. Criggler Najjar syndrome
3. Breast milk jaundice
4. Dubin Johnson syndrome

Correct answer: 4. Dubin Johnson syndrome

Explanation: Ans. is 'd' i.e. Dubin Jhonson syndrome